Viruses can be isolated from clinical samples by cultivation in the following except -
1. Tissue culture
2. Embryonated eggs
3. Animals
4. Chemically defined media

Correct answer: 4. Chemically defined media

Explanation: Cultivation of viruses 
'As viruses are obligate intracellular parasites they cannot be grown on any inanimate culture medium'. Three methods are employed for cultivation of viruses :
1. Animal Inoculation

Earliest method
Mice are most widely employed animals
Other animals used are guinea pigs, rabbits and ferrets.

2. Embryonated eggs

Sites of inoculation are :


Chorioallantoic Membrane -----   visible pocks are produced → HSV, Vaccinia, Smallpox
Amniotic Sac
Allantoic Cavity 


Influenza
Some paramyxoviruses


Yolk Sac


Some viruses
Chlamydia
Rickettsia

3. Tissue culture

Most important method for virus isolation. 
Three types of tissue culture are available


Organ Culture
Explant Culture
Cell Culture - (routinely employed)